Antibody found in myositis is ?
1. Anti Jo 1
2. Anti scl 70
3. Anti Sm
4. Anti Kurt

Correct answer: 1. Anti Jo 1